Latest drug used for treatment of MDR TB patients is -
1. Bedaquiline
2. Amithiozone
3. Capreomycin
4. Linezolid

Correct answer: 1. Bedaquiline

Explanation: Ans. is 'a' i.e., Bedaquiline Bedaquiline* It is a diaryl quinolone.* It acts by inhibiting M. tuberculosis adenosine triphosphate synthase.* It demonstrates significant potency against M. tuberculosis infection, both drug susceptible and multidrug resistant strains as well as many other mycobacteria.* It has potential to shorten the duration of drug therapy for management M. tuberculosis infection.* It is associated with nausea, increased QT interval.* FT, has approved bedaquiline for the management of drug resistant tuberculosis with a black box warning, relating to possible cardiac toxicity and sudden death.Note:DELAMANID:* It is also a new agent derived from nitrodihydro-imidazooxazole class of compounds.* It inhibits mycolic acid synthesis, and has shown potent in vitro and invivo activity against both drug susceptible and drug resistant M. tuberculosis strains.